Supra omohyoid dissection is one variety of
1. Selective neck dissection
2. Modified radical neck dissection
3. Radical neck dissection
4. Posterolateral dissection

Correct answer: 1. Selective neck dissection

Explanation: Ans. (a) Selective neck dissectionRef: Bailey- 26th edition Page 720* Supraomohyoid neck dissection involves removal of neck nodes at level 1,2,3.* It is done for No neck node palpable cases and for some cases of N1.* Extended Omohyoid Neck dissection removes - Level 1,2,3 and 4 nodes.